Increase urine levels of 5-HIAA is associated with which condition?
1. Liver Cirrhosis
2. Papillary carcinoma of the Thyroid
3. Carcinoid tumor
4. Small cell carcinoma of the lung

Correct answer: 3. Carcinoid tumor

Explanation: CARCINOID TUMOR/ Neuroendocrine tumors Arising from enterochromaffin / neuroendocrine cells of respiratory/ gastrointestinal tracts Resulting in over production of Serotonin .